Intellectual disability is not a feature in this aminoaciduria:
1. Phenylketonuria
2. Homocystinuria
3. Albinism
4. Maple syrup urine disease

Correct answer: 3. Albinism

Explanation: c. Albinism(Ref: Nelson's 20/e p 636-642, Ghai 8/e p 653-655)Intellectual disability is common in Phenylketonuria, Homocystinuria and MSUD.